The most common pure germ cell tumour of the ovary :
1. Choriocarcinoma
2. Dysgerminoma
3. Embryonal cell tumor
4. Malignant Teratoma

Correct answer: 2. Dysgerminoma

Explanation: - dysgerminoma is the most common among the malignant germ cell tumors accounting for 40%. - affects children and young women. Reference : Textbook of gynaecology Sheila balakrishnan, 2nd edition, pg no: 283